Obstructive liver disease is associated with the rise in?
1. Aspartate aminotransferase
2. Alanine amino transferase
3. Alkaline phosphatase
4. Serum albumin

Correct answer: 3. Alkaline phosphatase

Explanation: Ans. is 'c' i.e., Alkaline phosphatase * Alkaline phosphatase (ALP) is an enzyme in the cells lining the biliary ducts of the liver. ALP levels in plasma rise with large bile duct obstruction, intrahepatic cholestasis, or infiltrative diseases of the liver.Key biochemical markers in hepatic systems and functionSystem or functionMarkerSite or significance FunctionHepatocyte integrityAspartate aminotransferaseLiver, heart skeletal muscle, kidney, brain, red blood cellCatabolized amino acids, permitting them to enter the citric acid cycle.Alanine aminotransferaseLiver CholestasisAlkaline phosphatesBone, intestine, liver, placentaCanicular enzyme that plays a rote in bite production.g-Glutamyl-transpetidaseCorrelated levels with alkaline phosphatase indicate hepatobiliary originCatalyzes transfer of y-glutamyl group from peptides to other amino addsBilirubinElevation may indicate hepatic or extrahepatic disorderBreakdown product of hemolysis taken up by liver cells and conjugated to water soluble product excreted in bile.Liver functionSerum albuminDiet or liverLiver synthesizes albuminProthrombin timeLiver synthesizes vitamin K~ dependent clotting factorsBile salts are synthesized in the liver and necessary for vitamin K absorption